The treatment of choice in pathological fractures is
1. Internal fixation
2. Plaster of Paris casts
3. Skin traction
4. External skeletal fixation

Correct answer: 1. Internal fixation

Explanation: A i.e. Internal fixation